When transfer factor is given, treatment results in
1. Natural active immunity
2. Artificial active immunity
3. Artificial passive immunity
4. Adoptive immunity

Correct answer: 4. Adoptive immunity